index finger infection spreads to -
1. Thenar space
2. Mid palmar space
3. Hypothenar space
4. Flexion space

Correct answer: 1. Thenar space

Explanation: Ans. is 'a' i.e., Thenar space o Thenar space communicates w'ith the index finger while the mid palmar space communicates with the middle, ring and little fingers.o Thus infection of index finger leads to thenar space infection while the infection of middle, ring or little finger leads to mid palmar space infection.FeaturesMidpalmar spaceThenar space1. ShapeTriangular.Triangular2. SituationUnder the inner half of the hollow of the palm.Under the outer half of the hollow of the3. ExtentProximalDistalDistal margin of the flexor retinaculum.Distal palmar crease.Distal margin of the flexor retinaculum.Proximal transverse palmar crease.4, CommunicationsProximalDistalForearm space.Fascial sheaths of the 3rd and 4th lumbricals; occasionally 2nd.Fascial sheath of th first lumbrical, occasionally 2nd.5. BoundariesAnteriorPosteriori) Flexor tendons of 3rd, 4th. and 5th fingersii) 2nd, 3rd and 4th lumbricalsiii) Palmar aponeurosisFascia covering interossei and metacarpals.Intermediate palmar septumi) Short muscles of thumb.ii) Flexor tendons of the index finger.iii) First Lumbricalsiv) Palmar aponeurosis.Transverse head of adductor pollicis.Laterali) Tendon of flexor pollicis longus with radial bursa.ii) Lateral palmar septum.Intermediate palmar septum.MedialMedial palmar septum6. DrainageIncision in either the 3rd or 4th web space.Incision in the first web. posteriorly.